Somatic passivity is seen in?
1. Depression
2. Hypomania
3. Body dysmorphic disorder
4. Paranoid Schizophrenia

Correct answer: 4. Paranoid Schizophrenia

Explanation: Somatic passivity is a Schneiderian first rank of Schizophrenia. Ref : Harrison's Principles of Internal Medicine 21st ed